Hepar lobatum is due to -
1. Hepatitis A
2. Syphilis
3. Hepatitis B
4. Biliary atresia

Correct answer: 2. Syphilis

Explanation: Scarring as a result of gummas in skin produces characteristic lesion called hepar lobatum.